Minus cylinder lenses are prescribed because of
1. Cheaper to produce and distribute
2. Preferred due to meridional aniseikonia
3. Reduces minification
4. Causes less coma and trefoil

Correct answer: 2. Preferred due to meridional aniseikonia

Explanation: Aniseikonia is defined as a condition wherein, images projected to visual cortex from the two retinae are abnormally unequal in size and/or shape. Up to 5% aniseikonia is well tolerated. Meridional aniseikonia - refractive differences only occur in one meridian In a plus cylinder the lens is ground on the anterior surface of spectacle and thus there is more scattering and distortion of image as compared to a minus cylinder which is ground on posterior surface. Thus a minus cylinder is more comfortable to the patient and hence all prescriptions are written with a minus cylinder. Extra edge: - In pt with monocular aphakia wearing contact lens, % of aniseikonia is approximately 8% - In aphakia, Aniseikonia is decreased with contact lens than glasses. Hence, IOL implantation is preferred management NOTE- Aneisokonia with IOL- (1-3%)